Alcohol Dehydrogenase comes under which class of enzyme?
1. Oxidoreductase
2. Dehydrogenase
3. Hydrolase
4. Oxidase

Correct answer: 1. Oxidoreductase

Explanation: Ans. A. OxidoreductaseHere the question is asking about class of enzyme, hence answer oxidoreductase. Dehydrogenase is the subclass not class of enzyme.